Lack of leucocyte adhesion molecules (LAM) is associated with:
1. Delayed fall of umbilical cord
2. Normal chemotaxis
3. Complement opsonization
4. Neutropenia

Correct answer: 1. Delayed fall of umbilical cord

Explanation: a. Delayed fall of umbilical cord(Ref: Nelson's 20/e p 1027, Ghai 8/e p 187)Leukocyte adhesion deficiency (LAD)Salient featuresLAD type 1LAD type 2InheritanceAutosomal recessiveAutosomal recessiveBasic defectDefect in CD 18 moleculeQ required for biosynthesis of B2 chain shared by LFA-1 & Mac-1 integrinsAbsence of Sialyl-Lewis X, the fucose-containing ligand for P & E-selection, due to defect in fucosyl-transferase responsible for binding fucose moieties to protein backbonesClinical featuresRecurrent bacterial infections, delayed separation of umbilical cord stumpQRecurrent bacterial infections, Bombay blood groupQ and intellectual disability